Imaging investigation of choice to Diagnose Mullerian duct Abnormalities?
1. USG
2. HSG
3. MRI
4. CT

Correct answer: 3. MRI

Explanation: MRI is the investigation of choice for Mullerian Duct Anomalies Newer modality - 3D USG also has high sensitivity and specificity and accuracy comparable to MRI